AH of the following are components of Epidemiological triad except -
1. Environment
2. Agent
3. Host
4. Manpower

Correct answer: 4. Manpower

Explanation: Epidemiological triad 
The occurrence and manifestations of any disease, whether communicable or noncommunicable, are determined by the interaction of following three factors.

The agent 
The host 
The environment 

These three factors together constitute the epidemiological triad. 
Mere presence of these factors does not cause disease, interaction of these three is required for causation of a disease. 
The triangle of epidemiology 
The triangle of epidemiology shows the interaction and interdependence of agent, host, environment and time (It is different from epidemiological triad which does not contain time, but contain other three components). 
Advanced model of the triangle of Epidemiology 
This new model includes all facets of the communicable disease model. The term ‘agent’ is replaced by causative factors and this model shows the interaction of: - 

Causative factors; 
Group of population and their characteristic;
Environment behaviour, culture, physiological factors, ecological elements; and 
Time.